Thiopentone in contraindicated in all except -
1. Porphyria cuneata tarda
2. Staticus asthamaticus
3. Shock
4. Acute intermittent porphyria

Correct answer: 1. Porphyria cuneata tarda

Explanation: Thiopentone is an barbiturate and being barbiturate it is enzyme inducers thus can precipitate porphyria But depending on enzyme affected it has been found to be safe in Porphyria cuneata tarda and absolutely contraindicated in Acute intermittent Porphyria. further being cardiovascular unstable it is contraindicated in shock. it is bronchoconstrictor so contraindicated in asthmatic patients .